Most common organ affected in blast injury:
1. Liver
2. Lungs
3. Nervous tissue
4. Skeletal system

Correct answer: 2. Lungs

Explanation: Lungs